Total number of genes in a human being is
1. 800000
2. 50000
3. 100000
4. 30000

Correct answer: 4. 30000

Explanation: Current estimates suggest that there are 25,000 protein-coding genes in humans. This implies that most of the DNA is non-protein-coding, i.e. its information is never translated into an amino acid sequence of a protein molecule.